Craniopharyngiomas are basically
1. Tumors resembling osteomas
2. Tumors derived from Rathke's Pouch
3. Tumors similar to glottis cancer
4. Adenocarcinomas

Correct answer: 2. Tumors derived from Rathke's Pouch

Explanation: CraniopharyngiomaCraniopharyngioma is a type of brain tumor derived from pituitary gland embryonic tissue that occurs most commonly in children but also in men and women in their 50s and 60s. People may present with bitemporal inferior quadrantanopia leading to bitemporal hemianopsia, as the tumor may compress the optic chiasmCraniopharyngiomas are also known as Rathke pouch tumors, hypophyseal duct tumors, or adamantinomasRef: "Craniopharyngioma". Orphanet journal of rare disease